Russel bodies are found in which of the following conditions:
1. Multiple myeloma
2. Gonadal tumour
3. Parkinsonism
4. Intracranial neoplasms

Correct answer: 1. Multiple myeloma

Explanation: In multiple myeloma cytological variants stem from the dyregulated synthesis and secretion of immunoglobulins whuch often leads to intracellular accumulation of intact or partially degraded protein.such variants include: Flame cells with fiery red cytoplasm Mott cells with multiple grape like cytoplasm droplets. The globular inclusions are reffered to as Russell bofies or Dutcher bodies.(ref Robbins 9/ep599)